The critical impact angle in external ricocheting is:
1. 30 degree
2. 45 degree
3. 60 degree
4. 90 degree

Correct answer: 1. 30 degree

Explanation: Ans. (A). 30 degreeCritical angle of external ricocheting of bullet is 30 degree.The bullet before striking the victim, strikes some intervening object first, and then after ricocheting, hits the victim.The bullet may be deformed.Abrasion collar is absent, as the bullet loses its spinning motion.Burning, blackening and tattooing are also not seen.Internal ricocheting is seen inside skull.